The following is the indication of Reslizumab?
1. Ulcerative colitis
2. Multiple sclerosis
3. Bronchial asthma
4. Alzheimer's disease

Correct answer: 3. Bronchial asthma

Explanation: Apart from omalizumab, Reslizumab is the new drug, anti IL-5 for asthma. Ref: KK Sharma 3rd ed.